Intramembranous ossification is seen in which bones?
1. Pelvis
2. Long bones
3. Maxilla
4. None

Correct answer: 3. Maxilla

Explanation: Endochondral ossification "Most of long bones, vertebrae, pelvis, skull base bones Intramembranous ossification :skull vault, maxilla, most of the mandible, clavicle ref : maheswari book of orthopedics 9th ed